Moures sign is seen in
1. Carcinoma
2. Appendicitis
3. Varicose vein
4. Pancreatitis

Correct answer: 1. Carcinoma

Explanation: Moure's sign: in normal persons, there is a click felt when the larynx is moved from side to side over the vertebral column. This sign is absent in patients with post-cricoid carcinoma (Moure's sig n positive).